Characteristic symptom of aconite poisoning:
1. Increased salivation
2. Hypertension
3. Tingling and numbness
4. Hyperthermia

Correct answer: 3. Tingling and numbness

Explanation: Ans. Tingling and numbness